Saddle block is used for –
1. Surgery of lower limbs
2. Upper abdominal surgery
3. Inguinal hernia repair
4. Perianal surgery

Correct answer: 4. Perianal surgery

Explanation: Saddle block is the spinal anesthesia given in sitting position and the patient remains seated for 5 minutes. It is used for perianal surgeries.